Most Common congenital GI Tract anamoly is
1. Meckels diverticulum
2. Patent rachus
3. Ileal atresia
4. Jejunal aplasia

Correct answer: 1. Meckels diverticulum

Explanation: Answer- A. Meckels diverticulumMeckel's diverticulum is a true diverticulum as it has all the 3layers of the intestine.It's the most common congenital anomaly of the gastrointestinal tract